True about acute carbolic acid poisoning is
1. Green colour urine is due to pyrocatechol & phenol
2. Results in local anesthesia
3. Results in thin & friable mucosa
4. Progressive weight loss, pigmentation of skin & sclera

Correct answer: 2. Results in local anesthesia

Explanation: Phenol (carbolic acid) has local anesthetic property because it destroys sensory nerve ending. Acute poisoning is called carbolism Dark colored urine, skin pigmentation, weight loss, loss of appetite are features of chronic poisoning called as phenolic marasmus. Oxidation of metabolites of phenol (pyrocatechol & hydroquinone) provides green color to urine. Phenol forms leathery stomach mucosa (i.e. increased thickness of mucosa) that's why gastric lavage can be done.